Which nerve is not related to humerus
1. Axillary Nerve
2. Radial Nerve
3. Ulnar Nerve
4. Musculocutaneous Nerve

Correct answer: 4. Musculocutaneous Nerve

Explanation: Surgical neck of humerus is related to axillary nerve.Radial nerve passes through spiral groove (radial groove) on posterior surface of humerus.Ulner nerve passes just behind the medial epicondyle of humerus.